A 59-vear-old man with type 2 diabetes goes for a screening eve examination. The ophthalmologist reports that the patient has developed non-proliferative retinopathy. (List the findings.)For the above patient with a complication of diabetes, select the most likely diagnosis or findings.
1. microaneurysms and hemorrhage (dot and blot)
2. vitreal hemorrhage
3. dilated veins
4. open-angle glaucoma

Correct answer: 1. microaneurysms and hemorrhage (dot and blot)

Explanation: Background retinopathy is present in about 90% of diabetes after 25-30 years of disease. Microaneurysms, dilated veins, dot and blot hemorrhages, cotton-wool spots, and hard exudates are common findings.